TRIAD of Poikiloderma includes all except :
1. Skin atrophy
2. Skin hypertrophy
3. Telengectasia
4. Pigmentary changes

Correct answer: 2. Skin hypertrophy

Explanation: Poikiloderma is characterised by triad of Skin atrophy Telengectasia Pigmentary changes Poikiloderma is associated with Mycosis fungoides(Cutaneous T cell lymphoma) Skin hypertrophy is the feature of Lichenification.